Osteotomies
1. of the Le Fort III type, like the Le Fort III fracture, are not associated with great blood loss and therefore the patient rarely needs more than 2 pints of blood transfused.
2. of the Le Fort III type, if done with the use of a bicoronal flap are not followed by nerve paraesthesias postoperatively
3. of the Le Fort III type are most commonly indicated in syndromes associated with the early closure of cranial sutures
4. of the Le Fort II type produce maxillary necrosis in the cleft palate patient

Correct answer: 3. of the Le Fort III type are most commonly indicated in syndromes associated with the early closure of cranial sutures